Which one of the following agents / drugs is of no value in the post operative care of the hemophilic patient?
1. Tranexamic acid
2. Clopidogrel
3. Aminocaproic Acid
4. Factor VIII Cryoprecipitate

Correct answer: 2. Clopidogrel